Most common cause of fetal ventriculomegaly is ?
1. Arnold Chiari malformation–I
2. Arnold Chiari malformation–II
3. Aqueductal stenosis
4. Dandy Walker malformation

Correct answer: 3. Aqueductal stenosis

Explanation: Hydrocephalus is characterized by an increased CSF volume with progressive ventricular dilatation (ventriculomegaly).
Obstructive or noncommunicating hydrocephalus/ventriculomegaly develops most commonly in children because of an abnormality of the aqueduct or a lesion in the 4th ventricle.
Obstruction of the aqueduct is the single most common cause of fetal and neonatal hydrocephalus/ ventriculomegaly.
Non obstructive or communicating hydrocephalus most commonly follows a subarachnoid hemorrhage, which is usually a result of intraventricular hemorrhage in a premature infant.